Metabolites in HMP shunt are all except :
1. Glycerol-3 phosphate
2. Sedoheptulose-7 phosphate
3. Glyceraldehyde-3 phosphate
4. Xylulose-5 phosphate

Correct answer: 1. Glycerol-3 phosphate

Explanation: A i.e. Glycerol -3-phosphate